It is true about formalin -
1. That it can be used as preservative in alcohol poisoning
2. Never used as a preservative for chemical analysis
3. Used as a preservative in poisoning with digitalis
4. None of the above

Correct answer: 2. Never used as a preservative for chemical analysis

Explanation: Formaldehyde (formalin) is not used in poisoning because extraction of poisons especially non-volatile organic compounds become difficult in chemical analysis.